Mark the false statement regarding nucleus of facial nerve :
1. Upper part of the nucleus receives fibres from both the cerebral hemispheres
2. Lower part of nucleus gets uncrossed fibres from ipsilateral hemisphere
3. Motor nucleus of facial nerve is situated in pons
4. Bilateral innervation of forehead preserves its function in supranuclear lesions

Correct answer: 2. Lower part of nucleus gets uncrossed fibres from ipsilateral hemisphere

Explanation: Facial Nerve It courses from pons to parotid Mixed nerve: Motor + Sensory root (Nerve of Wrisberg-Carries fibers to lacrimal and salivary glands) Nucleus of facial nerve Motor nucleus is situated in pons,Which receives fibres from precentral gyrus. Upper part of the nucleus receives fibers from both the cerebral hemispheres, Lower part of nucleus gets only crossed fibers from Contralateral hemisphere Bilateral innervation of forehead preserves its function in supranuclear lesions. Thalamus also gives fibers to facial nucleus by alternate routes and gives involuntary control to facial muscles Smiling and crying are thus preserved in supranuclear palsies because of fibers from the thalamus.